Maximum ESR is seen in?
1. CHF
2. Polycythemia vera
3. Multiple myeloma
4. Sickle cell anemia

Correct answer: 3. Multiple myeloma

Explanation: Markedly elevated E.S.R (>100/hr) Moderate elevation of E.S.R Low ESR Monoclonal blood protein disorders such as multiple myeloma. Temporal arteritis Polymyalgia rheumatica SLE Active inflammatory disease- rheumatoid arthritis Chronic infections, collagen disease and neoplastic diseases. Neoplastic disease. Sickle cell anemia Polycythemia vera ESR =0 in Afibrinogenemia/ Agammaglobulinemia / Extreme Polycythaemia (Hct > 65%).